Ergot alkaloids are used in all except ?
1. Migraine
2. Acromegaly
3. Hypertension
4. Parkinsonism

Correct answer: 3. Hypertension

Explanation: Ans. is 'c' i.e., Hypertension Uses of ergot alkaloids 1. Migraine In migraine, throbbing headache is due to dilatation of pain sensitive arteries outside the brain, i.e. extracerebral vessels. Ergot alkaloids are vasoconstrictor (due to a agonistic action) and oppose these effects. Ergot alkaloids used in migraine ? Prophylaxis - Methysergide Acute attack - Ergotamine & dihydroergotamine 2. Parkinsonism In parkinsonism, there is degeneration of dopaminergic neurons. Bromocriptine, an ergot alkaloid,.is dopamine agonist at D2 receptor - can be used in parkinsonism. 3. Hyperprolactinemia Prolactin is under predominant inhibitory control of hypothalamus through dopamine that act on D2 receptor of pituitary lactotroph. Bromocriptine by D2 agonistic activity, decreases prolactin secretion. 4. Acromegaly Dopamine increases GH release in normal subjects but decreases it in acromegalics. Bromocriptine also acts in same way due to its dopamine agonistic action. 5. Dementia Dihydroergotoxin increases cerebral blood flow and act by protecting altered brain metabolism.